Hofbauer cells are tissue macrophages of
1. Pancreas
2. Placenta
3. Uterus
4. Liver

Correct answer: 2. Placenta

Explanation: Hoffbauer cells are the tissue macrophages of placenta